The personnel involved in the integrated child development program of WHO is:
1. Dhai
2. Anganwadi workers
3. Village health workers
4. School health teacher

Correct answer: 2. Anganwadi workers

Explanation: Anganwadi worker will guide ASHA in performing following activities: 

Organizing Health Day once/twice a month. On health day, the women, adolescent girls and children from the village will be mobilized for orientation on health-related issues such as the importance of nutritious food, personal hygiene, care during pregnancy, the importance of antenatal check-up and institutional delivery, home remedies for minor ailment and importance of immunization, etc. AWWs will inform ANM to participate and guide organizing the Health Days at Anganwadi centre.
AWWs and ANMs will act as resource persons for the training of ASHA.
IEC activity through the display of posters, folk dances, etc. on these days can be undertaken to sensitize the beneficiaries on health related issues.
Anganwadi worker will be depot holder for drug kits and will be issuing it to ASHA. The replacement of the consumed drugs can also be done through AWW.
AWW will update the list of eligible couples and also the children less than one year of age in the village with the help of ASHA.
ASHA will support the AWW in mobilizing pregnant and lactating women and infants for nutrition supplements. She would also take initiative for bringing the beneficiaries from the village on specific days of immunization, health check-ups/health days, etc. to Anganwadi centres.
lt is involved in the integrated child development program of WHO.